Panda sign:
1. Unilateral & sign of anterior cranial fossa fracture
2. Bilateral & sign of anterior cranial fossa fracture
3. Unilateral & sign of posterior cranial fossa fracture
4. Bilateral & sign of posterior cranial fossa fracture

Correct answer: 2. Bilateral & sign of anterior cranial fossa fracture

Explanation: Periorbital Ecchymosis/ Racoon Eyes / Panda sign: Anterior Cranial Fossa Fracture - Usually B/L. Longitudinal (A) and transverse (B) fractures of petrous pyramid of temporal bone, and anterior basal skull fracture (C) "Panda bear" or "raccoon" sign due to leakage of blood from anterior fossa into periorbital tissues, Absence of conjunctival injection differentiates fracture from direct eye trauma.